Which among the following is used as yardstick for the assessment of standards of therapy
1. Proportional mortality rate
2. Survival rate
3. Case fatality rate
4. Crude death rate

Correct answer: 2. Survival rate